Which one of the following organisms is the most frequent cause of acute pyogenic meningitis in adults:
1. Streptococcus pneumoniae
2. Neisseria meningitis
3. Haemophilus influenza
4. Listeria monocytogenes

Correct answer: 1. Streptococcus pneumoniae

Explanation: Ans. (a) Streptococcus pneumoniaeRef: Dhingra 5th ed. /61y 81